In the intestines, Paneth cells secrete:
1. Mucous
2. 5-HT
3. Defensins
4. Electrolytes

Correct answer: 3. Defensins

Explanation: Paneth cells: These cells provide host defense mechanism against microbes in the small intestine. These cells function like the neutrophils. On exposure to foreign micro-organisms, the Paneth cells secrete several antimicrobial substances(DEFENSINS) into the lumen of the crypt. Thus, they provide a gastrointestinal barrier to protect the stem cells. (Stem cells are located within the small intestinal crypts; these cells serve to constantly replenish epithelial cells that die and are lost from the villi).